The most important prognostic indicator of mesenchymal tumour is -
1. Type of primary
2. Grade
3. Size
4. Site

Correct answer: 2. Grade